Ring of fire on USG signifies-
1. H. mole
2. Ectopic pregnancy
3. PCOD
4. Aneuploidy

Correct answer: 2. Ectopic pregnancy

Explanation: Ans. is 'b' i.e., Ectopic pregnancy * The ring of fire sign also known as ring of vascularity signifies a hypervascular lesion with peripheral vascularity on colour or pulsed doppler examination of the adnexa due to low impedance high diastolic flow 1.* This sign can be seen ini) Corpus luteum cyst (more commonly)ii) Ectopic pregnancy